All are hyaline cartilage except
1. articular cartilage
2. auricular cartilage
3. cricoid cartilage
4. nasal septum

Correct answer: 2. auricular cartilage